Benign Prostatic hypertrophy results in obstruction of the urinary tract. The specific condition is associated with enlargement of the ?
1. Entire prostate gland
2. Lateral lobes
3. Median lobe
4. Posterior lobes

Correct answer: 3. Median lobe

Explanation: Median lobe of prostate is prone to development of Benign Prostatic hypertrophy (BPH). Posterior lobe of prostate is prone to development of malignancy.